Regarding actinomyces infection all are true except?
1. rib priostitis /subcutaneous infection
2. multiple sinus formation
3. sulphur granule
4. good response to sulphonamide

Correct answer: 4. good response to sulphonamide

Explanation: Ans d (good response in sulphonamide) ref: harrison 17 page no:996Treatment of actinomyces include18-24 million units of penicillin daily for 2-6 weeks followed by oral therapy with penicillin or amoxicillin (totalduration, 6-12 months)Other agents useful are* Erythromycin* Tetracycline* Doxycycline* Minocycline* GindamycinMore about actinomycosisIndolent, slowly progressive infection caused by anaerobic or microaero-philic bacteria, primarily of the genusActinomyces, that colonize the mouth, colon, and vagina.Males have a threefold higher incidence than females.The critical step in the development of actinomycosis is disruption of the mucosal barrier. ;Clinical ManifestationsORAL-CERVICOFACIAL DISEASE THORACIC DISEASE* radiographic finding is either a mass lesion or pneumonia* CT -central areas of low attenuation and ring like rim enhancement* Cavitary disease or hilar adenopathy may develop* Pulmonary lesions suggestive of actinomycosis may cross fissures or pleura; may involve the mediastinum, contiguous bone, or chest wall; or may be associated with a sinus tract.ABDOMINAL DISEASEThe disease usually presents as an abscess, a mass, or a mixed lesion that is often fixed to underlying tissue and mistaken for a tumor. Sinus tracts to the abdominal wall, to the perianal region, or between the bowel and other organs may develop and mimic inflammatory bowel diseasePELVIC DISEASEmost commonly in association with an IUCD. risk is minimal if IUCD is kept less than 1 yearThe earliest stage of disease-endometritis. Later may progress to frozen pelvisCENTRAL NERVOUS SYSTEM DISEASE-Single or multiple brain abscesses are most common. CT shows ring enhancing lesionMUSCULOSKELETAL AND SOFT TISSUE INFECTION new bone formation and bone destruction are seen Infection of an extremity is uncommon and is usually a result of trauma.DISSEMINATED DISEASElungs and liver are most commonly affected